Alopecia thin brittle nail, sparse hair with thin enamel diagnosis is ?
1. Ectodermal dysplasia
2. Alopecia aerata
3. Alopica congenita
4. None of above

Correct answer: 1. Ectodermal dysplasia

Explanation: Ans. is 'a' i.e., Ectodermal dysplasia Ectodermal dysplasia Group of syndrome All derived from ectodemal structure Abnormalities of two or more ectodermal structure such as Hair Teeth Nail Sweat gland Cranio facial structure Digit